Lathryism is due to -
1. Khesari dal
2. Aflatoxins
3. Aspergillus
4. Fluoride

Correct answer: 1. Khesari dal

Explanation: Ans. is 'a' i.e., Khesari Dal Lathvrismo Lathyrism is caused bv lathyrus sativus, commonly known as "Khesari dhal"o The toxin present in lathyrus seeds has been identified as Beta oxalyl aminoalanine (BOAA).o Toxin is water soluble,, this property has been made use of in removing the toxin from the pulse by soaking it in hot wnter and rejecting the soak water.o Blood brain barrier restrict the toxin to enter in the brain - to overcome this barrier the pulse must be eaten in large amounts over a period of time for 2 months or more.o Lathyrism is a paralysing disease of humans and animals,o In humans it affects nervous system - Neurolathyrism.o In animals it affects skeletal system - Osteolathyrism (odoratism).Neurolathyrismo Disease affects young men between 15-45 years,o It is characterized by spastic paralysis of lower limbs.Interventions for prevention and controlo Vitamin C prophylaxiso Banning the cropo Removal of toxin: Steeping method and Parboilingo Educationo Genetic approacho Socio-economic changes